Non-specific nuclei of thalamus is related to which sense / function ?
1. Arousal / alerting
2. Pain & temperature
3. Olfaction
4. Posture

Correct answer: 1. Arousal / alerting

Explanation: Ans. is 'a' i.e., Arousal / Alerting(Ref: Principles of medical physiology p. 717)Non Specific Nuclei:These nuclei also receive sensory information but project to the cortex in a diverse manner.Therefore they seem to be involved in the arousal induced by sensory stimuli.These nuclei are intralaminar and reticular nuclei.